Rhinitis medimentosa is due to -
1. Nasaldecongesants
2. Steroids
3. Antihistaminics
4. Surgery

Correct answer: 1. Nasaldecongesants

Explanation: Ans. is 'a' i.e., Nasal decongesants Rhinitis medicamentosao Caused by excessive use of topical decongestant nasal drops.o It is treated by withdrawal of nasal drops, short course of systemic steroid therapy and in some cases surgical reduction of turbinates, if they have become hypertrophied.